Which of the following muscle is supplied by a direct branch from the trunk of mandibular division of trigeminal nerve?
1. Temporalis
2. Medial pterygoid
3. Lateral pterygoid
4. Massater

Correct answer: 2. Medial pterygoid